Perforated trays are used with
1. Alginate impression material
2. Silicone impression material
3. Modeling compound
4. Impression waxes

Correct answer: 1. Alginate impression material

Explanation: Perforated trays are used for alginate impression material to mechanically hold the impression in tray with the help of perforations.